Hypoxic hypoxia is seen in
1. CO poisoning
2. HCN poisoning
3. Ischemia
4. AV shunt

Correct answer: 4. AV shunt

Explanation: Type of hypoxia Features Examples Hypoxic hypoxia Occur when enough oxygen is not present in the air / when decreasing atmospheric pressure prevents diffusion of oxygen from lungs to blood stream High altitudes COPD AV shunt etc Anemic hypoxia Haemoglobin available to carry oxygen is reduced Anemia Non-functional Hb - Co poisoning; Met-Hb etc Stagnant hypoxia Decreased/ sluggish blood flow to tissues resulting in inadequate oxygen supply Ischemia/ congestion Histotoxic hypoxia Oxygen delivered to tissues is normal but tissues can't utilize oxygen. Cyanide poisoning